Carbamoyl phosphate is used in
1. Urea
2. Uric acid
3. Pyruvic acid
4. Stearic acid

Correct answer: 1. Urea

Explanation: One molecule of ammonia and co2 condenses to form Carbomy phoshate in presence of 2 molecules of ATP and carbomyl phosphate synthetase II enzyme. this carbomyl phoshate is transferred to NH2 group of ornitine to form Citrulline in urea cycle.Ref: DM Vasudevan - Textbook of Biochemistry, 7th edition, page no: 203